Drug of choice in pregnant women with Secondary Syphilis:
1. Doxycycline
2. Benzathine Penicillin
3. Ceftriaxone
4. Cotrimoxazole

Correct answer: 2. Benzathine Penicillin

Explanation: Benzathine Penicillin